On a carbide bur, a great number of cutting blades results in:
1. Less efficient cutting and a smoother surface
2. Less efficient cutting and a rougher surface
3. More efficient cutting and a smoother surface
4. More efficient cutting and a rougher surface

Correct answer: 1. Less efficient cutting and a smoother surface